ECG changes of hypomagnesemia is:
1. Decreased QT interval
2. Increased QT interval
3. Greatly increased PT interval
4. Tall T waves

Correct answer: 2. Increased QT interval

Explanation: Ans. B i.e. Increased QT interval